Insulin is secreted by the fetal pancreas by :
1. 12th Week
2. 28th Week
3. 32th Week
4. 38th Week

Correct answer: 1. 12th Week

Explanation: 12th Week